True statement regarding 'Fistula in ano' is -
1. Posterior fistulae have straight tracks
2. High fistulae can be operated with no fear of incontinence
3. High and low divisions are made in relation to the pelvic floor
4. Intersphincteric is the most common type

Correct answer: 4. Intersphincteric is the most common type